All of the following are adverse effects of Digoxin except
1. Hyperkalemia
2. Yellow vision
3. Atrial Flutter
4. Gynaecomastia

Correct answer: 3. Atrial Flutter

Explanation: Digoxin can cause all type of arryhthmias except Atrial Flutter. Infact Digoxin is used to treat Atrial Flutter.